Half life of alteplase is ?
1. 5mins
2. 30mins
3. 1 hour
4. 2 hour

Correct answer: 1. 5mins

Explanation: Ans. is 'a' i.e., 5 mins o Alteplase has a very short half-life (about 5 minutes) and, therefore, is administered as a total dose equal to 0.9mg kg.o Ten percent of the total dose injected intravenously as a bolus and the remaining drug is administered over 60 minutes.